What is cognizable offence ?
1. Offence that can be forgiven
2. Offence in which person can be arrested but with a warrant
3. Offence in which a person can be arrested even  without a warrant
4. Offence in which bail cannot be granted

Correct answer: 3. Offence in which a person can be arrested even  without a warrant

Explanation: Cognizable offence

Offence in which a police officer can arrest a person without warrant.